Which of the following muscles are used in lateral movement of jaw?
1. Medial and lateral pterygoid of opposite side
2. Lateral pterygoid
3. Lateral pterygoid, digastric and geniohyoid
4. Posterior fibers of temporalis

Correct answer: 1. Medial and lateral pterygoid of opposite side

Explanation: Different muscles and their role in jaw movement:-